High sensitive -
1. Low false positive
2. Low false negative
3. Low true negative
4. Low true positive

Correct answer: 2. Low false negative

Explanation: True positive is directly related to sensitivity
False negative is inversely related to sensitivity
True negative is directly related to specificity
False positive is inversely related to specificity